In a patient with a vesicle on shin. Microscopy on Tzank smear showed giant cells. Causative agents is:
1. Vaccinia virus
2. Varicella zoster
3. Tuberculous
4. Molluscum contagiosum

Correct answer: 2. Varicella zoster

Explanation: Ans. (b) Le Varicella zoster Multinucleated giant cells and type a intranculear inclusion bodies may be seen in smears prepared by scraping the base of early vesicles (Tzank smears) and stained with toludine blue, Giemsa or Papanicolou stain" Note: Electron microscopy of vesicle fluid can demonstrate the typical virus